All of the following are true about Herpes group virus except:
1. Ether-sensitive
2. May cause malignancy
3. HSV II involves below diaphragm
4. Burkitt’s lymphoma involves T-cells

Correct answer: 4. Burkitt’s lymphoma involves T-cells

Explanation: Burkitt’s lymphoma = ALL L3.
Burkitt leukemia/lymphoma is now considered a mature B-cell neoplasm. 
It was formerly classified as precursor B ALL(Acute lymphoblastic leukemia) with L3 morphology (FAB-L3). 
The lymphoma cells are positive for B cell antigens, express surface immunoglobulins, and lack TdT expression with nearly 100% of cells being positive for ki-67.
Feature of Herpes Virus:

Enveloped Ds DNA virus, nucleocapsid is icosahedral.
Are enveloped, so are susceptible to fat solvent like ether, alcohol, bile salts.
Replicate in nucleus, forming cowdry type A intranuclear (lipschutz) inclusion bodies.
Some herpes virus have been implicated with malignancies.

EBV: Nasopharyngeal carcinoma
HSV - 2 - Carcinoma cervix
HHV-8 - Kaposi sarcoma, Multiple myeloma.